Most frequent site of mandibular fracture is
1. Condylar neck
2. Canine fossa
3. Mandibular body
4. Symphysis menti

Correct answer: 1. Condylar neck

Explanation: Most common site of fracture is in the neck of condyles( 35%) as it is the weakest point, condyle is displaced in front and medially often with dislocation. Reference SRB edition:5 page :355